All are true statements regarding octreotide except:
1. Somatostatin analogue
2. Used in refractory diarrhea in AIDS
3. Used in carcinoid syndrome
4. An absorbent

Correct answer: 4. An absorbent